Clayton is used in a close breathing system for the purpose of
1. As a hardner
2. As an absorbent
3. As a softner
4. As an indicator

Correct answer: 4. As an indicator

Explanation: D i.e. As an indicator